Which type of pelvis is associated with increased incidence of 'face to pubis' delivery:
1. Gynaecoid pelvis
2. Anthropoid pelvis
3. Android pelvis
4. Platypelloid pelvis

Correct answer: 2. Anthropoid pelvis

Explanation: As discussed in the text in Table 1.1 face-to-pubis delivery is common in anthropoid pelvis.